Which of the following best estimated the amount of radiation delivered to an organ in the radiation field –
1. Absorbed dose
2. Equivalent dose
3. Effective dose
4. Exposure dose

Correct answer: 1. Absorbed dose

Explanation: The total quantity of radiation delivered / deposited to an organ is defined as the absorbed dose.